Drug used to treat oral thrush
1. Clobetasol
2. Co-trimoxozole
3. Miconazole
4. Penicillin

Correct answer: 3. Miconazole